Phycomycosis is also called
1. Botryomycosis
2. Coccidiomycosis
3. Phytomycosis
4. Mucormycosis

Correct answer: 4. Mucormycosis